OCD is associated with which personality disorder?
1. Anankastic
2. Borderline
3. Narcissistic
4. Histrionic

Correct answer: 1. Anankastic

Explanation: Ans. is 'a' i.e., Anankastic Obsessive-Compulsive (anankastic)personality disorder* People with obsessive-compulsive personality disorder are markedly preoccupied with orderliness, perfectionism, and control. They lack flexibility or openness. Their preoccupations interfere with their efficiency despite their focus on tasks. They are often stingy as well as stubborn.